A 55-year-old man with congestive heart failure is noted to be taking furose mide each day. Which of the following is most likely to be found in the serum
1. Decreased uric acid level
2. Low bicarbonate level
3. Decreased potassium level
4. Elevated magnesium level

Correct answer: 3. Decreased potassium level

Explanation: Furosemide increases Ca2+ excretion (contrast thiazides which reduce it) as well as Mg2+ excretion by abolishing transepithelial potential difference in the thick AscLH which drives reabsorption of these divalent cations. It tends to raise blood uric acid level by competing with its proximal tubular secretion as well as by increasing reabsorption in PT which is a consequence of reduced e.c.f. volume. K+ excretion is increased mainly due to high Na+ load reaching DT. A small rise in blood sugar level may be noted after regular use of furosemide. Ref:-:kd tripathi; pg num:-579,580